Presence of spiral grooves in the barrel of w eapon is referred to as -
1. Rifling
2. Incendiary
3. Cocking
4. None of the above

Correct answer: 1. Rifling

Explanation: Ans. is 'a' Le., Rifling Type of firearm weaponso Bore (caliber) is the inner diameter of barrel. Based on inside of barrel (i.e., bore), the firearm weapons are divided into:-Smooth bore weapons : Barrel or bore is smooth inside, e.g., shot gun, muskets, and muzzle loaders.Rifled weapons : Barrel or bore is rifled from inside, i.e., has longitudinally twised grooves. Example are : Pistals, rifles and revolvers.o Pistals and revolvers are small, so referred to as hand guns.